Which of the following is a branch of the internal carotid artery?
1. Anterior ethmoidal
2. Nasopalatine
3. Greater palatine
4. Sphenopalatine

Correct answer: 1. Anterior ethmoidal

Explanation: NASAL SEPTUM INTERNAL CAROTID SYSTEM 1. Anterior ethmoidal artery 2. Posterior ethmoidal artery Both are branches of the ophthalmic artery. EXTERNAL CAROTID SYSTEM 1. Sphenopalatine artery ( branch of the maxillary artery ) gives nasopalatine and posterior medial nasal branches. 2. Septal branch of the greater palatine artery ( branch of the maxillary artery ). 3. Septal branch of the superior labial artery ( branch of the facial artery ). LATERAL WALL INTERNAL CAROTID SYSTEM 1. Anterior ethmoidal 2. Posterior ethmoidal Both are branches of the ophthalmic artery. EXTERNAL CAROTID SYSTEM 1. Posterior lateral nasal ( from the sphenopalatine artery). 2. Greater palatine artery ( from the maxillary artery). 3. Nasal branch of anterior superior dental ( from the infraorbital branch of maxillary). 4. Branches of the facial artery to the nasal vestibule. (Ref: Diseases of Ear, Nose and Throat and head and neck surgery, PL Dhingra, 7th edition, Pg no. 197)